Calcium absorption is aided by all of the following except
1. Vitamin D
2. Vitamin C
3. Lactose
4. Fat

Correct answer: 4. Fat

Explanation: Fat cannot be aided with the absorption of calcium Reference: GHAI Essential pediatrics, 8th edition Nutrition Chap